Subodontoblastic plexus of Raschkow occupies
1. Cell rich zone
2. Cell free zone
3. Odontoblastic zone
4. All of the above

Correct answer: 2. Cell free zone